Firm warty vegetations along the line of closure of valves is due to :
1. Rheumatic heart disease
2. Libman Sacks Endocarditis
3. NBTE
4. Infective Endocarditis

Correct answer: 1. Rheumatic heart disease

Explanation: Answer is A (Rheumatic Heart Disease) Firm warty vegetations along lines of closure of valves are charachteristic of Rheumatic Heart disease